Ideal cure for subacute angle closure glaucoma is
1. Timolol
2. Peripheral iridectomy
3. Pilocarpine
4. Trabeculectomy

Correct answer: 2. Peripheral iridectomy

Explanation: B i.e. Peripheral iridectomy Nd: Yag Laser iridotomy is the Treatment of choice but is not an option here, so the answer is Peripheral iridectomy which is the 2nd choice treatment. Treatment of choice for primary angle closure glucoma (fellow eye Q, latent stage, subacute or intermittent stage Q, chronic stage) is laser iridotomy or peripheral surgical iridectomy. Q In acute congestive stage of PACG drug of choice is Pilocarpine, till the time laser iridotomy can be performed. Q